Which is used for calculation of ejection fraction?
1. MUGA
2. SPECT using thallium 201
3. PET myocardial perfusion imaging
4. Sestamibi scan with pharmacological stress

Correct answer: 1. MUGA

Explanation: Nuclear Imaging of heart: MUGA scan (Multi-gated acquisition scan): Tc 99m labeled RBC is used Evaluate ventricular function / ejection fraction- Cardiac ventriculography (but most accurate investigation for ventricular function is -MRI) Tc99m labeled RBC is very sensitive investigation for detecting minimal lower GIT bleeding (as low as 0.1 ml per minute) PET scanning in heart: - N-13 ammonia PET = very sensitive for myocardial perfusion -18 FDG-PET = Myocardial viability If N-13 ammonia PET (-) & 18 FDG PET (-) - Suggestive of scar tissue If N-13 ammonia PET (-) & 18 FDG PET (+) - Hibernating myocardium Note: C-11 methionine PET is better than 18 FDG PET - for brain tumors